Which of the following acts commonly on sympathetic and parasympathetic division
1. Atropine
2. Pilocarpine
3. Acetylcholine
4. Adrenaline

Correct answer: 3. Acetylcholine

Explanation: Refer kDT 6/e p 91 Acetylcholine is the neurotransmitter used at the neuromuscular junction--in other words, it is the chemical that motor neurons of the nervous system release in order to activate muscles. This property means that drugs that affect cholinergic systems can have very dangerous effects ranging from paralysis to convulsions. Both sympathetic and parasympathetic preganglionic neurons are cholinergic, meaning they release acetylcholine (Ach) at the synapse in the ganglion. In theparasympathetic system, postganglionic neurons are also cholinergic. ... For example, thesympathetic system will release NE at both alpha and beta receptors